In a congenital dystrophic variety of epidermolysis bullosa, mutation is seen in the gene coding for?
1. Collagen type 7
2. Laminin 4
3. Alpha 6 integrin
4. Keratin 14

Correct answer: 1. Collagen type 7

Explanation: In scarring dystrophic types, blisters developed beneath the lamina densa, in association with rudimentary or defective anchoring fibrils. Dystrophic epidermolysis bullosa is an inherited disease resulting from mutations in the COL 7A1 gene that encodes type 7 collagen